Symptom of neonatal hypothyroidism are all except-
1. Open posterior fontanelle
2. Large tongue
3. Short stature
4. Hypertonia

Correct answer: 4. Hypertonia

Explanation: Ans. is 'd' i.e., Hypertonia Features of neonatal hypothyroidismo Neonate is normal at birth due to presence of maternal thyroid hormones.o First clinical sign is prolongation of physiological jaundice due to delayed maturation of glucuronide conjugation.Other features are:-o Open posterior fontanel and wide sutureso Large tongue - Can cause respiratory difficultieso Rough dry skin which is cool & mottledo Hypotonia, large abdomen, flaccid muscleso Sleepy, little cry, poor feed & chocking spells during feeding.o Short neck with thick supraclavicular pad of fat may be present.o Marked physical & intellectual disability, delayed social smile.o Short stature, normal head size with short extremities.o Short stature is disproportionate (upper segment > lowersegment).o Delayed relaxation of deep tendon reflexes.o Edematous, characteristic facieso Constipationo Pallor, hypothermiao Delayed pubertyo Refractory anaemia commono Slow pulse, cardiomegaly & Heart murmur.o Delayed dentition.o Open mouth with protuberant tongueo Delayed bone growth (Bone age < chronological age).